Parasitic inflammation would show predominantly
1. Lymphocytes
2. Neutrophils
3. Eosinophils
4. Basophils

Correct answer: 3. Eosinophils